A permanent incisor with an open apex is extruded 4 mm following an injury 15 minutes ago. What is the treatment of choice?
1. No immediate treatment, monitor closely for vitality.
2. Reposition, splint, monitor closely for vitality.
3. Reposition, splint, initiate calcium hydroxide pulpotomy.
4. Reposition, splint, initiate calcium hydroxide pulpectomy.

Correct answer: 2. Reposition, splint, monitor closely for vitality.

Explanation: An extruded permanent incisor with an open apex should be repositioned, splinted, and monitored closely for loss of vitality. Because of the open apex, the tooth may remain vital and continue development; therefore, immediate pulp treatment is contraindicated.